Drug with no mood stabilizing property is -
1. Lithium
2. Lamotrigine
3. Imipramine
4. Carbamazepine

Correct answer: 3. Imipramine

Explanation: Ans. C. ImipramineThe 5 individual drugs that can be used as mood stabilizers are:LithiumCarbamazePineLamotrigineValproateAsenapine